Dose of vitamin A prophylaxis required by a 9 month old child is:-
1. 10,000 IU
2. 100,000 IU
3. 200,000 IU
4. 10,00,000 IU

Correct answer: 2. 100,000 IU

Explanation: Under the new recent guidelines in NIS, vitamin -A is given: GROUP DOSE 6 months - 1 year of age 1 lakh IU orally 1 - 6 years of age 2 lakh IU orally - I lakh IU = 30mg - According to NIS, Vit A is started at the age of 9 months and given for every 6 months until the child reaches 5yrs of age. - Thus, total 9 doses of vit A is given.